In Pemphigus vulgaris, tzank smear shows -
1. Acantholytic cells
2. Macrophages
3. fibroblasts
4. Neutrophils

Correct answer: 1. Acantholytic cells

Explanation: Ans. is 'a' i.e., Acantholytic cellso Tzank smear is done for vesiculobullous disorders.Tzank smear findings in bullous disordersDisordersFindingso PemphigusAcantholysiso Bullous pemphigoidPredominantly eosinophilso Varicella-zoster infectionMultinucleated giant cellso Herpes simpex infectionMultinucleated giant cellso Toxic epidermal necrolysisNecrotic cells